Vertical transmission is seen in -
1. Herpes simplex
2. Leprosy
3. Tetanus
4. Whooping cough

Correct answer: 1. Herpes simplex